True about Ca cervix
1. 90% associated with HPV
2. Immunocompromised patients
3. OCP
4. All

Correct answer: 4. All

Explanation: Ans. is a, b and c i.e. 90% associated with HPV; OCP; and Immunocompromised Patients Risk factors for development of Ca cervix : Coitus before the age of 18 years.deg Multiple sex partners.deg Delivery of V baby before 20 years of age.deg Poor personal hygiene.deg Poor socioeconomic status. Smokingdeg, Alcohol, Drug abuse. Women with STDdeg, HIV infectiondeg, HSV-20, HPV infectiondeg or condyloma Immunocompromised individualsdeg Women with H/O Preinvasive lesionsdeg OCPdeg and progesterone use over long periods.deg "HPV is central to the development of cervical neoplasia. HPV - DNA is found in 95% of all squamous cell carcinoma & 90% of all adenocarcinomas."